Bicarbonate is maximally absorbed from:
1. PCT
2. DCT
3. Collecting duct
4. Thick ascending loop of Henle

Correct answer: 1. PCT

Explanation: A i.e. PCT